Testis lies in deep inguinal ring upto
1. 4th month
2. 5th month
3. 7th month
4. 9th month

Correct answer: 3. 7th month

Explanation: Descent of testis The testes develop in relation to the developing mesonephros, at the level of segments T10 to T12. Subsequently, they descend to reach the scrotum. Each testis begins to descend during the second month of intrauterine life. It reaches the iliac fossa by the 3rd month Rests at the deep inguinal ring from the 4th to the 6th month, Traverses the inguinal canal during the 7th month, Reaches the superficial inguinal ring by the 8th month and the bottom of the scrotum by the 9th month. An extension of peritoneal cavity called the processus vaginalis precedes the descent of testis into the scrotum, into which the testis invaginates. The processus vaginalis closes above the testis. Descent does not occur after one year of age. Ref - BDC 6th edition vol2 pg 227